Musculotendinous cuff of the shoulder is formed by all muscles EXCEPT:
1. Supraspinatus
2. Infraspinatus
3. Teres minor
4. Teres Major

Correct answer: 4. Teres Major

Explanation: (Teres Major): (68-BDC-l6th edition)MUSCULOTENDINOUS CUFF OF THE SHOULDER (ROTATOR-CUFF1Four muscles -* Supraspinatus* Infraspinatus* Teres minor* SubscapularisForm what is termed the "rotator cuff'. The tone of these muscles assists in holding the head of the humerus in the glenoid cavity of the scapula during movements at the shoulder joint. Therefore they assist in stabilizing the shoulder joint. The cuff lies on the anterior, superior and posterior aspects of the joint. The cuff is deficient inferiorly and this is a site of potential weakness. This explains why dislocation of the humerus occur most commonly in a downward direction.* Shoulder joint is the most commonly dislocated large joint**** The commonest cause of pain around the shoulder is a disorder of this rotator cuff (Rotator cuff syndrome)